A 13 year old boy presents with swelling in the cheek with recurrent epistaxis. Most likely cause is -
1. Angiofibroma
2. Ca Nasopharynx
3. Rhabdomyosarcoma
4. None

Correct answer: 1. Angiofibroma